All are essential amino acid except
1. Phenylalanine
2. Lysine
3. Leucine
4. Glycine

Correct answer: 4. Glycine

Explanation: The essential amino acids are Isoleucine, Leucine Threonine Lysine, Methionine, Phenylalanine, Tryptophan, and Valine.Ref: DM Vasudevan - Textbook of Biochemistry for Medical Students, 7th edition, page no: 27